Smooth surface caries is characterized by spread of caries in enamel and dentin as cones. These alignment in enamel and dentin is
1. Base to base
2. Apex to base
3. Apex to apex
4. None of the above

Correct answer: 2. Apex to base